Capgras syndrome is more common in
1. Obsessive compulsive disorder
2. Paranoid schizophrenia
3. Hysteria
4. Schizoid personality disorder

Correct answer: 2. Paranoid schizophrenia

Explanation: Capgras is delusion of double which is found in psychotic stage only